Most common organism, responsible for pseudomembranous colitis is:
1. Clostridium difficile
2. Clostridium botulism
3. Clostridium bifermentans
4. Clostridium histolyticum

Correct answer: 1. Clostridium difficile

Explanation: Pseudomembranous colitis refers to swelling or inflammation of the large intestine (colon) due to an overgrowth of Clostridium difficile (C. difficile) bacteria. 
This infection is a common cause of diarrhea after antibiotic use.